All are typical intercostal nerves except
1. 2nd
2. 3rd
3. 4th
4. 5th

Correct answer: 1. 2nd

Explanation: Upper two intercostal nerves also supply the upper limb,third to sixth supply only the thoracic wall.so they are called typical intetcostal nerves. . B D CHAURASIA'S HUMAN ANATOMY UPPER LIMB THORAX-VOLUME-1 SIXTH EDITION Page no:217